Condition a/w MR -
1. Trisomy 21
2. Fragile - X
3. Homocystinemia
4. All

Correct answer: 4. All

Explanation: Ans. is All